HLA associated with rheumatoid arthritis:
1. DR4
2. DR1
3. DR2
4. DR3

Correct answer: 1. DR4

Explanation: Table (Harrison 17th/2051): Significant HLA Class I and Class II Associations with Disease